What is the effect of calcitonin on bone resorption
1. Inhibits resorption
2. Promotes resorption
3. Both properties
4. Enhances mineralisation

Correct answer: 1. Inhibits resorption

Explanation: Physiologic Effects of Calcitonin Bone: Calcitonin suppresses resorption of bone by inhibiting the activity of osteoclasts, a cell type that "digests" bone matrix, releasing calcium and phosphorus into blood. Kidney: Calcium and phosphorus are prevented from being lost in urine by reabsorption in the kidney tubules. Calcitonin inhibits tubular reabsorption of these two ions, leading to increased rates of their loss in urine .R Ref - Harrisons internal medicine 20e p2923